Axillary hair growth is caused by?
1. Testosterone
2. Estrogen
3. Prolactin
4. Estrogen in women and androgens in man

Correct answer: 1. Testosterone

Explanation: Testosterone REF: Ganong's 22nd ed p. 430 Secondary sexual hair production in both man and woman is under control of androgens